The index used to record the plaque score is
1. PMA Index
2. Silness and Loe Index
3. Green and vermillion Index
4. Russell's index

Correct answer: 2. Silness and Loe Index